Which of the following drugs is both arteriolar and venodilator?
1. Hydralazine
2. Sodium nitroprusside
3. Minoxidil
4. Nitroglycerine

Correct answer: 2. Sodium nitroprusside

Explanation: Group Effect in CHF Drugs Predominant arteriolar dilator Decrease afterload Hydralazine Predominant venodilator Decrease preload Nitrates Mixed dilator Decrease both preload and afterload Nitroprusside